True combination is all except -
1. Cold-Trench foot
2. Light-Miner's nystagmus
3. Pressure-Caissons disease
4. Cane fibre-Farmers lung

Correct answer: 4. Cane fibre-Farmers lung

Explanation: Farmers lung is due to inhalation of mouldy hay or grain dust. (REF. PARK'S TEXTBOOK OF PREVENTIVE AND SOCIAL MEDICAL 21ST EDITION. PAGE NO - 748)